Deficit in weiught fo height in a 3 year old child indicates
1. Acute malnutrition
2. Chronic malnutrition
3. Concomitant acute and chronic
4. Underweight

Correct answer: 1. Acute malnutrition

Explanation: Ref:Park's Text book of Preventive and Social Medicine 25th ed